Which one of the following is not greenhouse gas?
1. Carbon monoxide
2. Methane
3. Nitrous oxide
4. Water vapour

Correct answer: 1. Carbon monoxide

Explanation: Green House gases: Carbon dioxide Methane Nitrous oxide Water vapor Ozone Carbon Monoxide is not a greenhouse gas. Park's Textbook of Preventive and Social Medicine, 25th Edition, Pg 808